For hookworm to be a major public health problerr chandler's index should be more than:
1. 100
2. 200
3. 250
4. 300

Correct answer: 4. 300

Explanation: Ans. (d) 300Ref: K. Park 23rd ed. / 243-44* CHANDLER'S INDEX is also known as Endemic index.* It is defined as average number of hookworm eggs per gram of stool for the entire community.* >300 eggs per gram of stool denotes important public health problem.Interpretation of chandler's index:Average No. of eggs/gm of stoolInterpretation* <200No significance* 200-250Potential danger* 250-300Minor public health problem* >300Major public health problem